Which of the following is true regarding viral hepatitis-
1. Raised transaminase level correlates well with hepatic injury
2. Variable elevation of transaminase in prodromal phase.
3. HAV infection is diagnosed by IgG estimation
4. Elevation of enzyme is specific for liver injury

Correct answer: 2. Variable elevation of transaminase in prodromal phase.

Explanation: Role of Aminotransferases in the diagnosis of Hepatitis.

Serum aminotransferases are sensitive markers of liver cell injury such as occurring in hepatitis but they are not specific for liver injury. They are also present in heart, skeletal muscle, brain.
Serum aminotransferases show a variable increase during the prodromal phase of acute viral hepatitis, however, the acute level of these enzymes does not correlate well with the degree of liver cell damage.
About choice, C Harrison states " The diagnosis of acute hepatitis A is made by demonstrating anti-HAV of the IgM class".
IgG anti-HAV is not used for diagnosis of the acute phase of HAV because its level remains elevated for an indefinite period of time.